The major neurotransmitter released at end organ effectors of the sympathetic division of the autonomic nervous system is:
1. Adrenaline
2. Nor–adrenaline
3. Dopamine
4. Acetylcholine

Correct answer: 2. Nor–adrenaline

Explanation: - Neurotransmitters at end organ.

Sympathetic

All organs except sweat glands and hair follicle - Noradrenaline/Norepinephrine
Sweat gland and hair follicle- Acetylcholine


Parasympathetic

Acetylcholine